True about gene library -a) Also known as chromosomeb) Library that contains books on genec) Computer base with all gene knowledged) DNA nucleotide or fragmente) Complete collection of gene copies of one organism
1. ab
2. bc
3. cd
4. de

Correct answer: 4. de

Explanation: Gene library is a collection of cloned DNA fragments.
In the genomic library entire genome of an organism is subjected to a restriction enzyme. Each & every fragment is cloned with a suitable vector.